Which of the following is the right order of psycho-sexual development:-
1. Oral - Phallic - Anal - Latent - Genital
2. Oral - Anal - Latent - Phallic - Genital
3. Anal - Oral - Phallic - Genital - Latent
4. Oral-Anal-Phallic-Latent - Genital phase

Correct answer: 4. Oral-Anal-Phallic-Latent - Genital phase

Explanation: Freudian psychosexual stages of developmen Stage Age Erogenous Zone/Activities Oral 0-1 1/2 years Sucking biting chewing Anal 1 1/2 - 3 years Bowel and bladder control Phallic 3-6 years Genitalia Latency 6 - puberty Repression of sexual instincts Genital After puberty Adult sexual inclinations and interests